Most common thyroid cancer:
1. Papillary
2. Medullary
3. Follicular
4. Anaplastic

Correct answer: 1. Papillary

Explanation: Ans: a (Papillary) Ref: Bailey & Love, 24th ed, p. 97Relative incidence:* Papillary carcinoma - 60%* Follicular carcinoma - 20%* Anaplastic carcinoma - 10%* Medullary carcinoma - 5%* Malignant lymphoma - 5%Important points about thyroid malignancy: Least malignant- Papillary CaMC type of thyroid cancer after radiation- Papillary CaThyroid Ca associated with dystrophic calcification- Papillary CaPsammoma bodies are seen in- Papillary CaOrphan Annie eye nuclei are seen in- Papillary CaMost malignant- Anaplastic CaType of thyroid Ca associated with MEN syndrome- Medullary CaThyroid Ca associated with amyloidosis- Medullary CaCarcinoma derived from the C cells of thyroid- Medullary CaThyroid Ca occurring in long lasting multinodular goiter- Follicular Ca